Most common cause of puberty menorrhagia:
1. Anovulation
2. Malignancy
3. Endometriosis
4. Bleeding disorder

Correct answer: 1. Anovulation